A dome shaped skull with a high forehead in the infant with slight hydrocephalus (Olympian brow) is seen in -
1. Marasmus
2. Congenital syphilis
3. Rickets
4. Arnold chiari syndrome

Correct answer: 2. Congenital syphilis